Excess of leucine causes:
1. Pellagra
2. Constipation
3. Hypervitarninosis
4. Progeria

Correct answer: 1. Pellagra

Explanation: Pellagra